Patient presents with mouth breathing, recurrent serous otitis media and adenoid facies. What is the best line of management ?
1. Adenoidectomy
2. Tonsillectomy
3. Antibiotics
4. Supportive therapy

Correct answer: 1. Adenoidectomy

Explanation: Ans. is 'a' i.e., Adenoidectomy o The triad of nasal and aural symptoms w ith adenoid facies points to the diagnosis of enlarged adenoids,o For the treatment of enlarged adenoids when symptoms are not marked breathing excercise, decongenstant nasal drops and antihisfaminics are used and when symptoms are marked, adenoidectomy is done,o We have a patient with marked and recurrent symptoms thus adenoidectomy is the treatment of choice.